Which of the following drugs is a direct inhibitor of clotting factor Xa?
1. Apixaban
2. Argatroban
3. Fondaparinux
4. Aspirin

Correct answer: 1. Apixaban

Explanation: All the drugs ending with XA BAN are direct Xa inhibitor XaBlocker Important ones are :- (1) Rivaroxaban (2) Apixaban (3) Edoxaban (4) Betrixaban (b) Argatroban - Direct thrombin inhibitors. (synthetic non-peptide compound which binds reversibly to the catalytic site of thrombin but not to the substrate recognition site)Argatroban uses ---- Tx of Thrombosis and for PCI(PCI = Per cutaneous Intervention) in HIT patients (HIT= Heparin induced thrombocytopenia ) (c) Fondaparinux - Indirect thrombin inhitor. (Penta-saccharidewith specitic sequence that binds to AT -III with high affinity inducing an irreversible conformational change to selectively in actively factor Xawithout binding thrombin) Fondaparinux use - prophylaxis and Tx of DVT &PE(Pulmonary Embolism) as well as ACS (Acute coronary syndrome) (d)Aspirin - Thromboxane synthesis inhibitor Aspirin use - CAD (Coronary Artery Disease), Stroke.